While preparing occlusal cavity for amalgam in mandibular first premolar, the bur
1. Is kept absolutely vertical
2. Is tilted slightly buccally
3. Is tilted slightly lingually
4. Can be kept in any direction

Correct answer: 3. Is tilted slightly lingually